The pressure-volume curve is shifted to the left in which of the following valvular condition?
1. Mitral regurgitation
2. Aortic regurgitation
3. Mitral stenosis
4. Aortic stenosis

Correct answer: 4. Aortic stenosis

Explanation: n aortic stenosis, HTN and HOCM there is pressure overload causing concentric left ventricular hypertrophy and shifts the diastolic pressure volume curve to left along its volume axis, so that at any diastolic volume ventricular diastolic pressure is abnormally elevated, although chamber stiffness may or may not be altered. Diastolic function of the left ventricle is assessed using a LV end diastolic pressure volume curve. A shift of the curve upward and to the left indicates diastolic dysfunction. In aortic /mitral regurgitation where there is volume overload the entire diastolic pressure volume curve shifts to right indicating increased chamber stiffness. Ref: Practical Cardiovascular Pathology, 2nd edition By Mary Sheppard page 143. Diastology: Clinical Approach to Diastolic Heart Failure By Allan L. Klein, Mario J. Garcia